Venlafaxine inhibits the reuptake of
1. Norepinephrine
2. Norepinephrine and serotonin
3. Serotonin
4. None of the above

Correct answer: 2. Norepinephrine and serotonin

Explanation: Reuptake inhibitors Inhibits reuptake of both 5 HT & Non adrenaline Inhibits reuptake of only 5 HT Tricyclic Antidepressant SNRI SSRI Imipramine Venlafaxine FLUOXETINE Clomipramine Duloxetine PAROXETINE Desipramine Milnacipran DAPOXETINE Amitriptyline Nortriptyline SERTRALINE ESCITALOPRAM These drugs are not used now a days These are drug of choice for severe depression These are drug of choice for mild to moderate depression and Neurotic conditions like -OCD -Bulimia -Phobia